While walking or standing posture is maintained by
1. Basal ganglia
2. Hypothalamus
3. Cerebellum
4. Amygdala

Correct answer: 3. Cerebellum

Explanation: The cerebellum receives information from the sensory systems, the spinal cord, and other parts of the brain and then regulates motor movements. The cerebellum coordinates voluntary movements such as posture, balance, coordination, and speech, resulting in smooth and balanced muscular activity. Ref: guyton and hall textbook of medical physiology 12 edition page number:780,781,782